Most common cause of ectopic ACTH production-
1. Renal cell carcinoma
2. Hepatocellular carcinoma
3. Small cell carcinoma lung
4. Pheochromacytoma

Correct answer: 3. Small cell carcinoma lung

Explanation: Ans. is 'c' i.e.. Small cell carcinoma lungo Ectopic ACTHproduction accounts for 10-20% cases of cushings syndromeo Small cell lung carcinoma (SCLC) is by far the most common causes of ectopic ACTH.# If accounts for more than 50%cases of cushings syndrome due to ectopic ACTH production.Other carcinomas associatedThymic carcinoid (15%)Islet cell tumour (10%)Bronchial carcinoid (10%)Other carcinoids (5%)Pheochromocytoma (2%)